Earliest evidence of healing in rickets is provided by-
1. S. Ca++
2. S. P043-
3. Radiological examination of growing bone ends
4. S Alkaline phosphate level

Correct answer: 3. Radiological examination of growing bone ends

Explanation: The earliest evidence of healing rickets comes from radiographs of the growing ends of bones. Concentration of calcium and phosphorus in the plasma provide an inconstant and unreliable guide. A more constant change is a decrease in the plasma alkaline phosphatase, but this does not usually occur for several weeks after adequate treatment initiated.